Longest acting sulphonamide is –
1. Sulfadiazine
2. Sulfadoxine
3. Sulfamethoxazole
4. Sulfamethiazole

Correct answer: 2. Sulfadoxine